Northern blotting used in separation and diagnosis of:
1. Histones
2. Proteins
3. RNA
4. DNA

Correct answer: 3. RNA

Explanation: HISTONES No blotting technique PROTEINS Western blotting RNA Northern blotting DNA Southern blotting